Neurofibrillary tangles are seen in?
1. Alzheimer's disease
2. Lewy body disease
3. Neurosyphilis
4. Shy dragger syndrome

Correct answer: 1. Alzheimer's disease

Explanation: ANSWER: (A) Alzheimer's diseaseREF: Harrison's Internal Medicine 17th ed> Chapter 365. DementiaAlzheimer's disease most often presents with subtle onset of memory loss followed by a slowly progressive dementia that has a course of several years. Pathologically, there is diffuse atrophy of the cerebral cortex with secondary enlargement of the ventricular system. Microscopically, there are neuritic plaques containing A amyloid, silver-staining neurofibrillary tangles (NFTs) in neuronal cytoplasm, and accumulation of A42 amyloid in arterial walls of cerebral blood vessels.NFT also seen in supra nuclear palsy